Negri bodies are abundant in the following cells except?
1. Subcortical white matter
2. Purkinje cells
3. Hippocampus
4. Basal ganglia

Correct answer: 1. Subcortical white matter

Explanation: Ans. (a) Subcortical white matter(Ref: R 9th/pg 1277)*Most characteristic pathologic finding in CNS in Rabies is the formation of cytoplasmic inclusion bodies called Negri bodies Q (composed of finely fibrillar matrix and rabies virus particles)*They are most commonly seen in cerebellum (purkinje cells) & pyramidal neurons of hippocampus*Basal ganglia involvement is common*The prominence of early brain stem dysfunction Q distinguish it from other viral encephalitis.